Which antiglaucoma drug can be used in an asthmatic patient ?
1. Timolol
2. Betaxolol
3. Propranolol
4. All

Correct answer: 2. Betaxolol